IgM have how many four-peptide subunits:
1. 3
2. 4
3. 5
4. 6

Correct answer: 3. 5

Explanation: IgM molecules are polymers of five four-peptide subunits. In the pentameric form all heavy chains are identical and all light chains are identical. It has another protein covalently bound a S-S bond called the J chain. This chain functions in polymerization of the molecule into a pentamer